Indication of acyclovir in pregnancy is:
1. Disseminated herpes
2. Chicken pox in first trimester
3. Prophylaxis in recurrent herpes
4. All of the above

Correct answer: 4. All of the above

Explanation: Ans. D i.e. All of the above